Which of the following is the fastest growing developmental disorder?
1. Specific learning disorder
2. Intellectual developmental disorder
3. Childhood onset fluency disorder
4. Autism spectrum disorder

Correct answer: 4. Autism spectrum disorder

Explanation: Autism spectrum disorder According to the report by Centre for Disease Control, United States of America, the prevalence for autism spectrum disorders has increased from 1 in 110 in 2010 to 1 in 59 in 2018. It is 4 times more prevalent in boy. Reference: GHAI Essential pediatrics, 8th edition